A very old lady, air in biliary tree, colicky abdominal pain with distension and hyper peristaltic abdominal sounds diagnosis
1. Gall stone ileus
2. Hemobilia
3. Cholangitis
4. Pneumobilia

Correct answer: 1. Gall stone ileus

Explanation: Ans. (a) Gall stone ileusRef: Sabiston 20th edition Page 1506* This is due to Cholecysto duodenal fistula which results in Pneumobilia and Obstruction